True regarding crohn\'s disease are A/E –
1. Scleroderma
2. Transmural involvement
3. Cobble stone appearance
4. Skin involvement

Correct answer: 1. Scleroderma

Explanation: The skin involvement in Crohn's disease causes erythema nodosum, scleroderma does not occur in Crohn's disease.
Other extraintestinal manifestations of Crohn's disease:


Migratory polyarthritis                                                                                                                                                        
Uveitis 
Clubbing 
Sacroiliitis
Hepatic pericholangitis    
Renal stones (uric acid & oxalate)
Ankylosing spondylitis
Primary sclerosing cholangitis